Intramuscular injection of atropine causes initial bradycardia. The reason for this effect being seen is:
1. Stimulation of medullary vagal centre
2. Stimulation of vagal ganglia
3. Blockade of M2 receptors of SA nodal cells
4. Blockade of muscarinic autoreceptor on vagal nerve endings

Correct answer: 4. Blockade of muscarinic autoreceptor on vagal nerve endings

Explanation: Atropine is a non-selective antagonist of M1, M2 and M3 muscarinic receptors. M2 cholinergic receptors are responsible for bradycardia and blockade of these receptors can result in tachycardia. Atropine initially acts on presynaptic M1 receptors (normally decrease the release of ACh) and result in greater release of ACh which is responsible for bradycardia. Later on, blockade of M2 receptors will lead to tachycardia.